Valve affected in infective endocarditis due to septic abortion?
1. Mitral
2. Tricuspid
3. Pulmonary
4. Aortic

Correct answer: 2. Tricuspid

Explanation: In septic states the bacteria will enter into right side of heart and can infect the tricuspid valve.